Shortest acting non depolarizing muscle relaxant is?
1. Mivacurium
2. Doxacuronium
3. Pipecurium
4. Vecuronium

Correct answer: 1. Mivacurium

Explanation: Ans. is 'a' i.e., Mivacurium Suxamethonium (succinylcholine) is the shortest acting skeletal muscle relaxant. o Mivacurium is the shortest acting nondepolarizing skeletal muscle relaxant.